Which of the following symptoms do you expect to see in a patient diagnosed with acute pyelonephritis
1. Jaundice and flank pain
2. Costovertebral angle tenderness and chills
3. Burning sensation on urination
4. polyuria and nocturia

Correct answer: 2. Costovertebral angle tenderness and chills

Explanation: Costovertebral angle tenderness, flank pain, and chills are symptoms of acute pyelonephritis.

Option A: Jaundice indicates gallbladder or liver obstruction.
Option C: A burning sensation on urination is a sign of lower urinary tract infection.